Heerfordt's syndrome consists of fever, parotid enlargement, facial palsy and:
1. Arthralgia
2. Bilateral hilar lymphadenopathy
3. Erythema nodosum
4. Anterior uveitis

Correct answer: 4. Anterior uveitis

Explanation: Heerfordt's syndrome is a variant of sarcoidosis and comprises of: 1. Parotid enlargement 2. Ocular involvement ( anterior Uveitis) 3. Fever 4. Facial palsy (mnemonic: PUFF) Extra Edge Lofgren's syndrome : 1. Hilar Lymphadenopathy on CXR 2. Osteoarthropathy/ Peri-articular arthritis +/- 3. Fever 4. Granulomatous uveitis 5. Erythema Nodosum